Which of the following statements is true about capillaries
1. Contains 5% of total blood volume
2. Contain 10% of total blood volume
3. Velocity of blood flow is maximum
4. Offer maximum resistance to blood flow

Correct answer: 1. Contains 5% of total blood volume

Explanation: Capillaries contain 5% of the blood volume.